Ring of Sommering is seen in -
1. Galactosemia
2. Dislocation of lens
3. Acute congestive glaucoma
4. After cataract

Correct answer: 4. After cataract

Explanation: Soemmering's ring which refers to a thick ring of after cataract formed behind the iris, enclosed between the two layers of capsule. REF IMG